The most important function of 23 DPG is
1. O2 release
2. O2 binding
3. Acid base balance
4. Water electrolyte balance

Correct answer: 1. O2 release

Explanation: Ref: Harper's Illustrated Biochemistry, 28th edition Explanation:Hemoglobin comes to 'T' form or taut form by 23 BPG (DPG) which is formed during glycolysis. This reduces the affinity of Hb for oxygen and helps in the unloading of oxygen.